Ewing's tumour arises from –
1. Mesothelial cell
2. Endothelial cell
3. Squamous cell
4. None of the above

Correct answer: 4. None of the above